All are food fortification except:
1. Addition of color to saccharin
2. Addition of Vit A to food stuffs
3. Addition of extra nutrients to food stuffs
4. Iodisation of salt

Correct answer: 1. Addition of color to saccharin

Explanation: Ans: aRef: Park, 17th ed, p. 453 & 18th ed, p. 480, 481